Irreversible cell injury -
1. Mitochondrial densities
2. Cellular swelling
3. Blebs
4. None

Correct answer: 1. Mitochondrial densities

Explanation: Ans. is 'a' i.e., Mitochondrial densities Formation of amorphous densities in the mitochondrial matrix is a feature of irreversible injury.Mechanism of reversible injury Note:o Earliest change of reversible cell injury is cellular swelling.o Myelin figures (laminated structure) derived from damaged membrane of organelles and plasma membrane, first appear during reversible injury, but become more pronounced in irreversible injury.